CSF is principally secreted by ?
1. Choroid plexus
2. Arachnoid granulation
3. Floor of fourth ventricle
4. Periaqueductal grey

Correct answer: 1. Choroid plexus

Explanation: A i.e. Choroid plexus